The use of the following drug during pregnancy can lead to mobius syndrome:
1. Warfarin
2. Phenytoin
3. Mifepristone
4. Misoprostol

Correct answer: 4. Misoprostol

Explanation: Möbius syndrome is an extremely rare congenital neurological disorder which is characterized by facial paralysis and the inability to move the eyes from side to side.
Most people with Möbius syndrome are born with complete facial paralysis and cannot close their eyes or form facial expression.
They have normal intelligence.
Möbius syndrome results from the underdevelopment of the VI and VIIcranial nerves.
Causes: The causes of Möbius syndrome are poorly understood. Möbius syndrome is thought to result from a vascular disruption (temporary loss of bloodflow) in the brain during prenatal development. There could be many reasons for the vascular disruption leading to Möbius syndrome. The use of the drugs misoprostol or thalidomide or cocaine by women during pregnancy can lead to mobius syndrome.